Sandifer syndrome due to GERD in infants is confused with __________
1. Seizures
2. Recurrent vomiting
3. Acute otitis media
4. Sinusitis

Correct answer: 1. Seizures

Explanation: Infants with GERD presents with anorexia, dysphagia, arching of back during feedings, irritability, hematemesis, anaemia, failure to thrive.other symptoms are chest pain, recurrent pneumonia apnoea, wheezing, stridor, hoarseness, cough, abnormal neck posturing(Sandifer syndrome) Sandifer syndrome is most commonly mistaken for seizures Ref : ESSENTIAL PEDIATRICS,O.P.GHAI, PG NO:253, 7th edition